Spring ligament refers to?
1. Plantar calcaneonavicular ligament
2. Short planter ligament
3. Long planter ligament
4. Both'b' &'c'

Correct answer: 1. Plantar calcaneonavicular ligament

Explanation: Ans. is 'a' i.e., Plantar calcaneonavicular ligamentThe spring ligament (Plantar calcaneonavicular ligament) is a group of ligaments which connect calcaneum to navicular.It consists of :?Superomedial ligament.Medioplantar oblique ligament (medial or intermedialcalcaneonavicular ligament).Inferoplantar longitudinal ligament (Lateral calcaneonavicular ligament).